Which of the following drug is metabolized through Glycination
1. Benzodiazepines
2. Atzanavir
3. Ifosfamide
4. Nicotinic acid

Correct answer: 4. Nicotinic acid

Explanation: Benzadiazepines → Glucorinidation
Atzanavir → Glucorinidation
Ifosfamide → Glutathionation
Nicotinic acid → Glycination
(Hint: NICotinic acid - glyCINation).